Proteus mirabilis is associated with which renal calculi?
1. Uric acid
2. Struvite
3. Cysteine
4. Calcium Oxalate

Correct answer: 2. Struvite

Explanation: Proteus mirabilis/Proteus vulgarisGram-negative rods, non-lactose fermenting* Highly motile; "swarming" motility on the surface of blood agar* Urease produced* Facultative anaerobe (Enterobacteriaceae), oxidase negativePathogenesis* Urease raises urine pH to cause kidney stones (staghorn renal calculi)Ref: Ananthanarayan; 7th edition; Page no: 283